Ureter is diagnosed during operation by -
1. Venous plexus
2. High arterial supply
3. Peristaltic movements
4. Circumferance

Correct answer: 3. Peristaltic movements